H. pylori causes
1. Type A Gastritis b
2. Type B gastritis
3. Autoimmune
4. Allergic Gastritis

Correct answer: 2. Type B gastritis